Which is the best temperature for putrefaction?
1. - 10 degrees C
2. 0 degrees C
3. 30 degrees C
4. 50 degrees C

Correct answer: 3. 30 degrees C

Explanation: Ans. is 'c' i.e., 30 degrees C * Putrefaction is the last stage in resolution of body from the inorganic to organic state and is a certain sign of death.* The putrefaction is due to:i) Autolysis:# The enzymes of the body, break down the dead body causing proteolysis, lipolysis and glycolysis.ii) Bacterial enzymes:# Aerobic and anaerobic bacteria present in small intestine (e.g. C. welchii, staphylococcus, E.coli etc.) release enzymes (especilly lipase and lecithinase), which act on body to cause breakdown.* Three conditions are necessory for putrefaction : (i) warmth (10-45deg), (ii) moisture (humidity) and (iii) air. If air is absent, adipocere formation (saponification) occurs, and in the absence of moisture, mummification occurs.